First reflex to recover after spinal shock is:
1. Ankle jerk
2. Plantar jerk
3. Cremasteric reflex
4. Bulbocavernosus reflex

Correct answer: 4. Bulbocavernosus reflex

Explanation: Ans. D. Bulbocavernosus reflexThe bulbocavernosus reflex is an oligosynaptic reflex mediated through the S2-S4 spinal cord segments that is elicited by electrical stimulation of the dorsal penis/clitoris nerves with the reflex response recorded from any pelvic floor muscles.The afferent paths of the bulbocavernosus reflex are the sensory fibers of the pudendal nerves and the reflex center in the S2-S4 spinal segment. The efferent paths are the motor fibers of the pudendal nerves and anal sphincter muscles.The bulbocavernosus reflex (BCR) is clinically elicited by squeezing the glans penis and digitally palpating the contraction of the bulbocavernosus (BC) muscle.The test involves monitoring internal and external sphincter contraction in response to squeezing the glans penis or clitoris or tugging on an indwelling Foley catheter.This reflex can also be tested electrophysiologically by stimulating the penis or vulva and recording from the anal sphincter.